Vestibulo-Ocular Reflex Mediated by:
1. Flocculonodular Lobe
2. Vermal portion of Spinocerebel 1 um
3. Neocerebellum
4. Paravermal region of Spinocerebellum

Correct answer: 1. Flocculonodular Lobe

Explanation: Ans:A (Flocculonodular Lobe) Ref: Pal GK. Cerbellurn. In: Textbook of Medical Physiology. Ahuja Publishing House. 2007: 116: 871.Explanation:Functional Division of CerebellumVestibulo cerebellum/Arch-cerebellum (Flocculonodular lobe)Connections with vestibular apparatusConcerned with equilibrium and learning induced changes in vesiihulo-occular reflexSpino cerebellumVermis - controls muscle movements of axial bodyIntermediate zone - controls muscle movements of limbsCerbrocerbellum (Ponto cerebellum/Neo cerbellurn) Overall planning programming of motor activities